Which of the following is the organism causing chronic burrowing ulcer?
1. Peptostreptococcus
2. Streptococcus viridans
3. Streptococcus pyogenes
4. Microaerophilic streptococci

Correct answer: 4. Microaerophilic streptococci

Explanation: Chronic Burrowing ulcer is also known as Meleney's ulcer. This type of ulcer is caused by a hemolytic microaerophilic Streptococci, and usually develops after surgery on the intestinal or genital tract. Ref: A Manual On Clinical Surgery, By, S.Das,Page, 52, 53; Oxford Textbook Of Surgery, 2000, 2nd Edition, Page 105; Textbook of Surgery By Gupta, 2nd edition page 66.